The main objective of obturation is:
1. Fill the canal and prevent apical percolation of fluids
2. Fill the canal and prevent discolouration of teeth
3. Fill the canal to give support to restoration
4. All of the above

Correct answer: 1. Fill the canal and prevent apical percolation of fluids